Common inhabitant of throat and tonsils is
1. Alpha hemolytic streptococci (S. viridans)
2. Staphylococci
3. Beta hemolytic streptococci
4. Pneumococci

Correct answer: 1. Alpha hemolytic streptococci (S. viridans)